All of the following mechanisms might account for a reduce-risk of upper genital tract infection in users of progestin - releasing lUDs, except:
1. Reduced retrograde menstruation
2. Decreased ovulation
3. Thickened cervical mucus
4. Decidual changes in the endometrium

Correct answer: 2. Decreased ovulation

Explanation: Decreased ovulation does not protect from upper genital tract infection. Also it doesn't inhibit ovulation in all women. THE TEXTBOOK OF GYNAECOLOGY SHEILA BALAKRISHNAN SECOND EDITION PAGE NO 379